Blood supply of spinal cord is through -
1. Anterior spinal artery
2. Vertebral artery
3. Deep cervical artery
4. All of the above

Correct answer: 4. All of the above

Explanation: Ans. is 'd' i.e., All of the aboveArteryBranch ofTerritory of supply1. Anterior spinal artery (1 in number)4th part of vertebral arteryVentral 2/3rd cross section of spinal cord2. Posterior spinal arteries (2 in number)4th part of vertebral artery, sometimes from posterior inferior cerebellar arteryPosterior l/3rd of the cross-section of spinal cord3. Segmental spinal branches(a) Vertebral artery (2nd part)(b) Deep cervical artery(c) Ascending cervical artery(d) Posterior intercostal arteries(e) Lumbar arteries# Subclavian artery# Costocervical trunk of 2nd part of subclavian# Branch of thyrocervical trunk# Thoracic aorta# Abdominal aorta# (a), (b) and (c) supply the cervical segments and uppermost thoracic segments up to T2# (d) and (e) supply rest of the cord